Which of the following is the most important risk factor in the aetiology of intraventricular haemorrhage (IVH) in neonates?
1. Coagulation disorder
2. Continuous Positive airway pressure
3. Pneumothorax
4. Extreme prematurity

Correct answer: 4. Extreme prematurity

Explanation: All the options mentioned in the question are risk factors for IVH. However, the single most important factor is prematurity with IVH being very uncommon in term babies IVH occur due to fragile, highly vascular collection of vessels near the lateral ventricle, known as germinal matrix